An 22 year old female complains of double vision and difficulty talking. On examination, there is symmetrical descending paralysis, Quadriparesis with areflexia, pupils are non reactive. Diagnosis is
1. Tetanus
2. Strychnine
3. Diphtheria
4. Botulism

Correct answer: 4. Botulism

Explanation: Flaccid paralysis (quadriparesis) with blurring of vision, areflexia and non-reactive pupils suggestive of botulism.